The ratio of carbon dioxide produced to oxygen consumed is known as
1. Basal metabolic rate
2. Respiratory quotient
3. Specific dynamic action
4. Partial pressure of carbon dioxide

Correct answer: 2. Respiratory quotient

Explanation: Respiratoryquotient (RQ) is the ratio of carbon dioxide produced/oxygen consumed RQ Glucose 1.00 Protein 0.81 Fat 0.71 Alcohol 0.66 Ref : Biochemistry by U. Satyanarayana 3rd edition Pgno : 503